All of the following are supplied by superior gluteal nerve except
1. Gluteus maximum
2. Gluteus minimus
3. Gluteus medius
4. Tensor fascia lata

Correct answer: 1. Gluteus maximum

Explanation: A i.e. Gluteus maximum